All are true about inguinal canal except :
1. Conjoint tendon forms part of the posterior wall
2. Superficial ring is found in ext oblique aponeurosis
3. Deep ring is an opening in transversalis abdominis
4. Internal oblique forms both anterior and posterior wall

Correct answer: 3. Deep ring is an opening in transversalis abdominis

Explanation: C i.e. Deep inguinal ring is an opening in transversalis abdominis